Vascular sign of Narath is noticed in
1. Fracture neck of femur
2. Perthes disease
3. Posterior dislocation of hip
4. All of the above

Correct answer: 3. Posterior dislocation of hip

Explanation: C i.e. Posterior dislocation of hip Vascular sign of narath is positive in posterior dislocation of hip joint. Due to posterior dislocation, the hip joint falls on the femoral artery, and this causes feeble or absent femoral pulse.